Which of the following act through G protein coupled receptors?
1. Ach Muscarinic receptors
2. Insulin receptors
3. Ach Nicotinic receptors
4. GABA-A receptors

Correct answer: 1. Ach Muscarinic receptors

Explanation: (a) Ach Muscarinic receptors,Ref: Lippincott, 6th ed., pg. 27-28* M1,M2,M3,M4 and M5 are Ach Muscarinic receptors. They are G protein coupled receptors.* M1 and M3 acts trough Gq protein, activates IP3/DAG and increase cytosolic calcium while M2 receptors involve Gi protein, inhibits adenylyl cyclase and increases potassium conductance.* Insulin receptors are a member of the ligand-activated receptor and tyrosine kinase family of transmembrane signaling proteins* Ach Nicotinic receptors are Ionotropic receptors or ion-channel coupled receptors* GABA-A receptors are also Ionotropic receptors or ion-channel coupled receptors. Glutamate receptors, glycine receptors are other examples of Ionotropic receptors.